Ketone bodies are formed in the
1. Liver
2. Pancrease
3. Kidneys
4. Lungs

Correct answer: 1. Liver

Explanation: Acetoacetate is the primary ketone body while beta-hydroxybutyrate and acetone are secondary ketone bodies. They are synthesised exclusively by the liver mitochondria.Ref : DM Vasudevan - Textbook of Biochemistry 6th Edition pg no: 143